In a patient with chronic congestive cardiac failure, all of the following drugs prolong survival, except?
1. Metoprolol
2. Carvedilol
3. Enalapri I
4. Digoxin

Correct answer: 4. Digoxin

Explanation: Ans. is 'd' i.e., Digoxin Arrest of disease progression and reduced mortility in CHFo The major humoral abnormalities in heart failure, which are responsible for disease progression, cardiac remodelling and mortility, are excessive activation of the RAA system and adrenergic system.o The drugs which block the effect of RAA system and adrenergic system will arrest/reverse the disease progression and reduce the mortality.o Drugs are1. On RAA system ACE inhibitors --> Inhibit (conversion of A-I to A-ID. AT 1 antagonists --> Block ATI receptors Spironolactone Blocks mineralocorticoid (aldosterone) receptors. 2. Adrenergic systema) b-blockers Interfere with harmful effects of sustained activation of the adrenargic system.Note : Studies have also shown that combination of hydralazine and isosarbide dinitrate also arrest the progression and reduce the mortality.